The definition of extensively drug resistant TB includes resistance to all of the following drugs, EXCEPT:
1. Rifampicin
2. Ethambutol
3. Isoniazide
4. Amikacin

Correct answer: 2. Ethambutol

Explanation: Cases of TB that are resistant to almost all second line drugs are termed extensively drug resistant tuberculosis (XDR TB), when M. tuberculosis is resistant to at least rifampicin and isoniazid (i.e. MDR-TB) and resistant to a fluoroquinolone and resistant to one or more of the following second line injectable drugs: amikacin, capreomycin. kanamycin Ref: Park 21st edition, page 178.